Water sample which is likely to contain chlorine. will affect the results of bacteriological analysis of water. %Mich one of the following, if added in small amount in the test tube w ill help overcome it ?
1. Potassium nitrate
2. Copper sulphate
3. Calcium hydrochloride
4. Sodium thiosulphate

Correct answer: 4. Sodium thiosulphate

Explanation: Ans. is 'd' i.e., Sodium thiosulphate